Apple jelly noddule is seen in ?
1. Lupus vulgaris
2. Cutaneous anaphylaxus
3. Erythroderma
4. Erysepals

Correct answer: 1. Lupus vulgaris

Explanation: Ans. is 'a' i.e., Lupus vulgaris Lupus vulgaris Lupus vulgaris is a chronic and progressive form of cutaneous tuberculosis that occurs in tuberculin sensitive patients. It is the most common type of cutaneous tuberculosis and has most variable presentation. Seen in children and young adults, though no age is exempted. Occurs on exposed area like face (nose, eyelid, pinna); and sometimes on buttock, trunk. Lesions are usually solitary and characterized by : - Reddish brown (erythematous). Annular in shape. Indurated. Slowly increases in size (gradually progressive). Healing with tissue paper like scarring at centre (most common) or edge. Peripheral crusting. Blanching with glass slide (diascopy) will reveal grey green foci --> Apple jelly nodules. Match-stick test positive --> Apple jelly nodule has no resistance to pressure by a sharp match-stick. Reappearance of new nodules within previously atrophic or scarred lesions is characteristic. Cartilage (Ear, nose) in the affected area is progressively destroyed (Lupus vorax); bone is usually spared. Buccal, nasal and conjuctival mucosa may be involved primarily or by extension. Treatment is antitubercular drugs (ATT).